A 41 year female patient is taking steroids from long duration. Now she presents with onset of severe pain in the hip. Which imaging investigation can be used to diagnose this condition?
1. MRI
2. CT
3. USG
4. X-Ray

Correct answer: 1. MRI

Explanation: Patient on long term steroids that presents with pain must be suffering from AVN( avascular necrosis). IOC to look for AVN is MRI.